TRUE statement about nonrenal cause of hypokalemia among the following is:
1. Loss of K in sweat is a usual cause of hypokalemia
2. Direct gastric losses of K+ due to vomiting or nasogastric suctioning is minimal
3. Hypochloremic alkalosis due to vomiting results in persistent kaliuresis due to secondary hypoaldosteronism
4. Colonic pseudo-obstruction (Ogilvie's syndrome) is due to hyperkalemia

Correct answer: 2. Direct gastric losses of K+ due to vomiting or nasogastric suctioning is minimal

Explanation: Hypokalemia can be due to increased loss. Non renal causes are 1. Gastrointestinal loss (Diarrhea) 2. Integumentary loss (Sweat) MUST KNOW: The loss of K+ in sweat is very low except in extremes of physical exertion Direct gastric losses of K+ is also minimal (Vomiting, NG aspiration) It can lead to hypochloremic alkalosis It lead to persistent kaliuresis due to secondary hyperaldosteronism Celiac disease, ileostomy, villous adenoma, VIPomas, and chronic laxative cause significant hypokalemia Colonic pseudo-obstruction (Ogilvie's syndrome) can lead to hypokalemia from secretory diarrhea Ref: Harrison, Edition-18, page- 352.